Risk factor for melanoma are all of the following EXCEPT:
1. Exposure to UV radiation
2. Black people
3. First degree relative with melanoma
4. Multiple or dysplastic naevi

Correct answer: 2. Black people

Explanation: Ans. B i.e. Black people Melanoma is commoner in fair complexion Malignant melanoma/ MM Mode of spread of MM: Lymphatic channels or hematogenous Cutaneous melanoma arises from: Epidermal melanocytes MC site involved in lentigo maligna (least common): Face MC type of MM: Superficial spreading Most malignant type of MM: Noduar melanoma